Which of following techniques is used for detection of variations in DNA sequence and Gene expression:
1. Northern Blot
2. Southern Blot
3. Western Blot
4. Microarray

Correct answer: 4. Microarray

Explanation: D i.e. Microarray DNA Microarrays (DNA-Chips) is used for detection or screening of variations in DNA sequences and gene expressionQ analysizing thousands of gene at a same time.